In a patient with internal hordeolum which of the following gland is MOST likely to be infected?
1. Gland of Moll
2. Gland of Zeiss
3. Meibomian gland
4. Lacrimal gland

Correct answer: 3. Meibomian gland

Explanation: Infection of the meibomian gland results in hordeolum internum. External hordeolum is said to be present when there is infection of gland of Zeiss or Moll. Patients with hordeolum presents with pain, redness and swelling. An internal hordeolum may point to the skin or to the conjunctival surface, but an external hordeolum always points to the skin. Most hordeola is caused by infection with Staphylococcus aureus. A chalazion is a sterile, focal, chronic inflammation of the eyelid that results from obstruction of a meibomian gland. Ref: Vagefi M., Sullivan J.H., Correa Z.M., Augsburger J.J. (2011). Chapter 4. Lids & Lacrimal Apparatus. In P. Riordan-Eva, E.T. Cunningham, Jr. (Eds),Vaughan & Asbury's General Ophthalmology, 18e.